In the krebs cycle, CO2 is released from a step catalyzed by which of the following enzyme?
1. Isocitrate dehydrogenase
2. succinate dehydrogenase
3. Aconitase
4. Succinate thiokinase

Correct answer: 1. Isocitrate dehydrogenase

Explanation: Reference: Harper's Illustrated Biochemistry 31st edition Pg 151